All of the following are Indications of MRI in breast carcinoma except
1. Microcalcification
2. High-Risk cases
3. Breast implant patients
4. Lobular carcinoma Insitu

Correct answer: 1. Microcalcification

Explanation: Mammography is the investigation of choice for microcalcification MRI Indicated on scarred breast, implants and borderline lesions for breast conservation IOC for implant related complications Gold standard for imaging breast in females with implants